Return of ulbocavernous reflex in spinal shock -
1. Sign of recovery from spinal shock
2. Partial lesion of spinal cord
3. Complete transection of spinal cord
4. Incomplete transection of spinal cord

Correct answer: 1. Sign of recovery from spinal shock

Explanation: The earliest indicator of resolution is the return of bulocavernous reflex.